A 25 year old man presented with fever, cough, expectoration and breathlessness of 2 months duration. Contrast-enhanced computed tomography of the chest showed bilateral upper lobe fibrotic lesions and mediastinum had enlarged necrotic nodes with peripheral rim enhancement. Which one of the following is the most probable diagnosis?
1. Sarcoidosis
2. Tuberculosis
3. Lymphoma
4. Silicosis

Correct answer: 2. Tuberculosis

Explanation: The patient in question has


Fever, cough, breathlessness, expectoration
Upper lobe fibrosis
Peripheral rim enhancement on CT because of necrosis.


These features suggest the diagnosis of post-primary (adult) pulmonary tuberculosis.